What causes both destruction of bone and reduction of joint space?
1. Tuberculosis
2. Metastasis
3. Multiple myeloma
4. Lymphoma

Correct answer: 1. Tuberculosis

Explanation: (a)TB in spine involves- 2 Vertebra (Bone) + Disk (Cartilage)- Paradiscal- Anterior (to spinal cord)Note: Involvement of posterior elements and single vertebra is relatively rare in TB.